Pyruvate dehydrogenase enzyme complex contains the following cofactors except
1. Thiamine pyrophosphate
2. Coenzyme A
3. Flavin adenine dinucleotide (FAD)
4. Nicotinamide adenine dinucleotide phosphate NADP

Correct answer: 4. Nicotinamide adenine dinucleotide phosphate NADP

Explanation: Glycolysis; is oxidatively decarboxylated to acetyl CoA by pyruvate dehydrogenase(PDH). is a multienzyme complex with 5 co-enzymes and 3 apoenzymes. Coenzymes; -thiamine pyrophosphate -Coenzyme A -FAD -NAD+ -Lipoamide.Ref: DM Vasudevan, 7th edition, page no: 115